The main aim of an adjuvant is to increase?
1. Distribution
2. Absorption
3. Antigenicity
4. Metabolism

Correct answer: 3. Antigenicity

Explanation: Ans. is 'c' i.e., Antigenicity Adjuvants . Any substance that enhances the immunogenicity of an antigen. . Actions : - May confer immunogenicity on nonantigenic substances. - Increases the concentration and presistence of the circulating antibodies. - Enhances the degree of cellular immunity - Leads to production of adjuvant disease such as allergic disseminated encephalomyelitis. . The most potent adjuvant is Freund's complete adjuvant which is the incomplete adjuvant along with a suspension of killed tubercle bacilli. . Other adjuvants. - Incorporation of protein antigen in the water phase of water in oil emulsion (Freund's incomplete adjuvant) - Aluminium hydroxide and Aluminium phosphate are commonly used with human vaccines. - Gram negative bacilli show an adjuvant effect due to their lipopolysaccharide (endotoxin) fraction. - Bordetella pertussis acts as a good adjuvant for diphtheria and tetanus toxoid in triple vaccine.